Classification of pathogenic streptococci into group A, B, C, D and G is based on
1. Color of colonies on blood agar
2. Antigenicity of cell wall carbohydrate
3. Presence or absence of capsule
4. Presence or absence of M protein

Correct answer: 2. Antigenicity of cell wall carbohydrate

Explanation: Hemolytic streptococci were classified by Lancefield serologically into groups based on the nature of a carbohydrate (C) antigen on the cell wall. These are known as Lancefield groups, twenty of which have been identified so far and named A-V (without I and J). Reference: Textbook of Microbiology; Anathanarayan and paniker's; 10th edition; Page no: 211